Fluoroacetate acts on ---- enzyme to inhibit the Citric acid cycle?
1. Citrate synthase
2. Aconitase
3. Succinate dehydrogenase
4. a-ketoglutarate

Correct answer: 2. Aconitase

Explanation: The poison fluoroacetate is found in some of the plants, and their consumption can be fatal to grazing animals. Some fluorinated compounds used as anticancer agents and industrial chemicals (including pesticides) are metabolized to fluoroacetate. It is toxic because fluoroacetyl-CoA condenses with oxaloacetate to form fluorocitrate, which inhibits aconitase, causing citrate to accumulate. Reference: Harper; 30th edition; Page no: 162